Drug of choice for Paroxysmal Supraventricular Tachycardia
1. Digitalis
2. Adenosine
3. Adrenaline
4. Verapamil

Correct answer: 2. Adenosine

Explanation: Ref: Katzung 14lh ed. pg. 246; KD Tripathi, 6th ed. pg. 509 & 518* Paroxysmal supraventricular tachycardia (PSVT) is sudden onset episodes of atrial tachycardia (rate 150-200/min) with 1:1 atrioventricular conduction* An attack of PSVT can be terminated by i.v. injection of verapamil, diltiazem, esmolol or digoxin; but most cardiologists now prefer adenosine.* Adenosine has a very short t1/2 in blood ( 10sec)* Almost complete elimination occurs in a single passage through coronary circulation.